The probable interval between throat infection and onset of rheumatic fever is
1. 2-4 hours
2. 2-4 days
3. 2-4 weeks
4. 2-4 months

Correct answer: 3. 2-4 weeks

Explanation: Rheumatic fever is an acute, immunologically mediated, multisystem inflammatory disease that occurs after group A b-hemolytic streptococcal infections (usually pharyngitis, but also rarely with infections at other sites such as skin). Acute rheumatic fever occurs most often in children; the principal clinical manifestation is carditis. Nevertheless, about 20% of first attacks occur in adults, with arthritis being the predominant feature. Symptoms in all age groups typically begin 2 to 3 weeks after streptococcal infection, and are heralded by fever and migratory polyarthritis. (Robbins basic pathology,9th edition.pg no.391)